Morbid obesity means BMI of
1. >30
2. >40
3. >35
4. >29

Correct answer: 2. >40

Explanation: Ref: Park's Textbook of Preventive and Social Medicine 25 th Ed Pgno : 417-418